For DNA test, liquid blood is preserved in:
1. Sodium citrate
2. Potassium oxalate
3. EDTA
4. Sodium fluoride

Correct answer: 3. EDTA

Explanation: Ans. EDTA